False about Japanese encephalitis is -
1. Transmitted by Culex mosquitoes
2. Overhead tanks serve as breeding site
3. Pigs are amplifiers
4. Primary dose of vaccine consists of two doses

Correct answer: 2. Overhead tanks serve as breeding site

Explanation: - Japanese encephalitis is transmitted by culux mosquitoes. - the breeding place is irrigated rice field, shallow ditches and pools. - the pigs infected do not manifest the disease but circulate the virus. Thus pigs act as amplifiers. - Primary dose of JE vaccine consists of two doses. Reference : Park's textbook of preventive and social medicine, 23rd edition pg no:285,286